Late onset hemorrhagic disease of newborn is chaacterized by all of the following features except
1. Usually occurs in cow - milk fed babies
2. Onset occurs at 4-12 week of age
3. Intracranial hemorrhage can occur
4. Intramuscular vitamin K prophylaxis at birth has a protective role

Correct answer: 1. Usually occurs in cow - milk fed babies

Explanation: Late onset hemorrhagic disease of newborn is common among breastfed babies. Reference: GHAI Essential pediatrics, 8th edition